The best diagnostic procedure of M.tuberculosis
1. PCR
2. Auramin rhodamin stain
3. Sputum culture
4. ESR

Correct answer: 3. Sputum culture

Explanation: Ans. is 'c' i.e., Sputum culture "Definitive diagnosis depends on isolation (culture) and identification of M. tuberculosis from a diagnostic sepcimen (most common specimen in sputum)".